A child with retarded growth came with triangular face, micrognathia, tripod skull and fifth finger clinodactyly. What is the probable diagnosis?
1. Russell Silver syndrome
2. Beckwith - Wiedemann syndrome
3. Angelman syndrome
4. Prader - Willi syndrome

Correct answer: 1. Russell Silver syndrome

Explanation: Russell Silver syndrome : Short stature Craniofacial and body asymmetry Low birth weight Microcephaly Triangular facies Fifth finger clinodactyly Congenital cardiac defects Beckwith - Wiedemann syndrome - hemihypertrophy, macroglossia, omphalocele, organomegaly & Wilms tumour. Angelman syndrome- Seizures, ataxia, intellectual disability, inappropriate laughter (happy puppets). Prader - Willi syndrome- Intellectual disability, obesity, hypotonia, hypogonadism.